In DNA transfer the vectors used from smallest to largest is -
1. Cosmids, Plasmids, Bacteriophage
2. Plasmids, Bacteriophage, Cosmids
3. Bacteriophage, Cosmides, Plasmids
4. Cosmids, Bacteriophage, Plasmids

Correct answer: 2. Plasmids, Bacteriophage, Cosmids